All of the following are true about anticoagulants except:
1. Maximum storage with CPDA-1 is 35 days
2. Maximum storage with SAGM is 42 days
3. Sodium diphosphate helps in synthesis of ATP
4. Citrate Prevents coagulation by chelating calcium

Correct answer: 3. Sodium diphosphate helps in synthesis of ATP

Explanation: Whole Blood Anticoagulant used Maximum storage ACD/CPD/CP2D 21 days CPDA-1 (citrate phosphate dextrose adenine) 35 days SAGM (Saline adenine glucose mannitol) 42 days Actions of ingredients of Anticoagulant solution Glucose - ATP generation by glycolysis Adenine -Synthesis of ATP - Increase shelf life of RBC to 42 days Citrate - Prevents coagulation by chelating calcium Sodium diphosphate - Maintain optimum pH